A 25 years old female develops serous otitis media of left ear with cough and occasional hemoptysis and hematuria and epistaxis for one and half months her. Hemoglobin is 7 gm. B.P. > 170/100, proteinuria +++, RA positive (+ve) and ANCA positive (+ve), the likely cause is:
1. Wegener's granulomatosis
2. Rheumatoid arthritis
3. Rapidly proliferative glomerulonephritis
4. Good Pasteur's syndrome

Correct answer: 1. Wegener's granulomatosis

Explanation: Ans. A. Wegener's granulomatosisa. Any vasculitic lesion involving upper respiratory tract, lungs & kidney is characteristic of Wegner'sb. In this case, serous otitis media with hemoptysis, hematuria with C-ANCA positive is diagnostic of Wegner's